Which of the following is used in forgeries as an ink remover solution :
1. Sulphuric acid
2. Nitric acid
3. Carbolic acid
4. Oxalic acid

Correct answer: 4. Oxalic acid

Explanation: D i.e. Oxalic acid